Which is not a substrate for gluconeogenesis?
1. Alanine
2. Fatty acid
3. Pyruvate
4. Lactate

Correct answer: 2. Fatty acid

Explanation: Substrate for gluconeogenesis are: -glucogenic amino acids, lactate, glycerol, propionyl CoA Glucose cannot be produced from fatty acidRef: DM Vasudevan, 7th edition, page no: 120